Osteoclast has specific receptor for:
1. Parathyroid hormone
2. Calcitonin
3. Thyroxin
4. Vit D3

Correct answer: 2. Calcitonin

Explanation: Calcitonin receptor is expressed in osteoclasts. Calcitonin inhibits bone resorption by inhibiting osteoclasts; and promotes Ca2+ from blood to be deposited on the bone. This decreases blood Ca2+. PTH is a primary endocrine regulator of bone remodeling in adults. The PTH/PTHrP receptor is expressed on osteoblasts, but not on osteoclasts.